patient developing choreoathetoid movements after long term use of antipsychotics is called as
1. tardive dyskinesia
2. akathisia
3. geganhalten
4. dystonia

Correct answer: 1. tardive dyskinesia

Explanation: TARDIVE DYSKINESIA Involuntary Choreo athetoid movements Involving the face, trunks and limbs M.C SITE-=========== peri oral movements Exacerbated by stress Relieved by rest Ref.kaplon and sadock, synopsis of psychiatry, 11 th edition, pg no. 925